Drug of choice for Zollinger-Ellison syndrome ?
1. Antihistaminics
2. Proton pump inhibitors
3. Dopamine agonists
4. Antacids

Correct answer: 2. Proton pump inhibitors

Explanation: Ans. is 'b' i.e., Proton pump inhibitors "Proton pump inhibitors are the drug of choice for Zollinger Ellison syndrome; they have decreased the need for total gastrectomy".